A mutation in the codon which causes a change in the coded amino acid, is known as:
1. Mitogenesis
2. Somatic mutation
3. Mis-sense mutation
4. Recombination

Correct answer: 3. Mis-sense mutation

Explanation: Ans. C. Mis-sense mutation(Ref: Harper 31/e page 398)I. Silent MutationIf a mutation does not alter the polypeptide product of the gene.Also called Synonymous Mutation.II. Mis-sense mutationThe alteration in the nucleotide may result in the incorporation of a different amino acid.